Which of the following statements is not true regarding α-fetoprotein -
1. High levels are seen in fibrolamellar hepatic carcinoma
2. Pre-operative high level indicates worse prognosis
3. High level are seen in stomach carcinoma
4. Levels may be increased in Hapatitis

Correct answer: 1. High levels are seen in fibrolamellar hepatic carcinoma